'SEPS' is a procedure used for
1. Veins
2. Arteries
3. Lymphatics
4. AV fistula

Correct answer: 1. Veins

Explanation: SEPS:- Subfascial endoscopic perforator ligation surgery A special telescope is introduced deep to deep fascia through a single small vertical incision at proximal leg selecting healthy skin. Potential space between muscle and deep fascia with loose areolar tissue us easy to dissect using endoscope. Endoscope is advanced down along the medial border of tibia. Perforators travelling in subfascial plane are identified and fulgurated using bipolar cautery or clips can be applied into the perforators. It is recommended in Chronic venous insufficiency. {Reference: SRB's manual of surgery, 5th edition , page no. 237}